Northern blotting technique is used for the separation of:
1. DNA
2. Protein
3. RNA
4. Protein DNA interaction

Correct answer: 3. RNA

Explanation: Detection of RNA is termed northern blotting.Detection of post-translational modification of protein is termed eastern blotting.The name western blot was given to the technique by W. Neal Burnette and is done for proteins. Southern blot, a technique for DNA detection was developed by Edwin Southern. Southwestern blot examines protein-DNA interactions.